The occurrence of hyperthyroidism following administration of supplemental iodine to subjects with endemic iodine deficiency goiter is known as -
1. Jod-Basedow effect
2. Wolff-Chaikoff effect
3. Thyrotoxicosis factitia
4. De Quervain's thyroiditis

Correct answer: 1. Jod-Basedow effect

Explanation: The Jod-Basedow effect (also Jod-Basedow syndrome and Jod-Basedow phenomenon ) is hyperthyroidism following administration of iodine or iodide, either as a dietary supplement or as contrast medium, in a person with long term underlying thyroid disease. It occurs due to either overactivation of the entire thyroid gland, or more commonly autonomous nodules within the gland after iodine repletion without adequate feedback control from the pituitary gland.Wolff-Chaikoff effect is a phenomenon where excess iodide transiently inhibits thyroid iodide organification leading to hypothyroidism.Thyrotoxicosis factitia is a condition in which patients induce thyrotoxicosis by consuming excessive amounts of a thyroid hormone preparation, most often levothyroxine. The exogenous thyroxine suppresses pituitary TSH secretion and hence iodine uptake, serum thyroglobulin and release of endogenous thyroid hormone. The circulating T3 is derived exclusively from peripheral monodeiodination of T4.de Quervain's (subacute) thyroiditis is a transient inflammation of the thyroid gland occuring after infection with Coxsackie, mumps or adenoviruses. Reference : page 2285, 2302 Harrison's Principles of Internal Medicine 19th edition and page 751,740 Davidson's Principles and practice of Medicine 22nd edition